All of the following statements about primary Tuberculosis are true, Except:
1. Cavitatory lesion
2. Pleural effusion
3. Fibrocasseous lesion
4. Phlyctenular conjunctivitis

Correct answer: 1. Cavitatory lesion

Explanation: Answer is A (Cavitatory lesion): Cavitatory lesions are a feature of post primary or secondary tuberculosis and not primary tuberculosis cases Cavitation is rare in primary tuberculosis Cavitation is a feature of secondary Tuberculosis (Robbins) Cavitation occurs readily in the secondary form. Indeed cavitation is almost inevitable in neglected secondary tuberculosis. Cavitation may be seen in primary tuberculosis but it is a rare feature. - Robbins Fibrocasseous lesion are charachteristic in primary Tuberculosis The charachteristic pulmonary lesion in primary tuberculosis is a Ghon's focus, which is in fact a fibrocasseous lesion showing marked granulomatous inflammatory reaction with casseous necrosis. Phlectenular conjunctivitis is a feature of primary tuberculosis Phlyctenular conjunctivits is a hypersensitivity reaction in the eye to the presence of TB bacilli elsewhere in the body. It is commonly seen in children with primary tuberculosis The onset of tubercular infection may be accompanied by erythema nodosum or phlyctenular conjunctivitis which are regarded as hypersensitivity reactions to mycobacteria. These lesions reflect tuberculin conversion in primary tuberculosis Hallmarks indicating Hypersensitivity to Mycobacteria in Primary pulmonary TB Erythema nodosum Phlyctenular conjunctivitis Pleural effusion is common in primary tuberculosis `Pleural effusion is found in upto 2/3 of cases of primary tuberculosis and results from penetration of bacilli into the pleural space from an adjacent subpleural focus' - Harrison